Inheritance of Familial Hypercholesterolemia is?
1. Autosomal dominant
2. Autosomal recessive
3. X Linked dominant
4. X Linked recessive

Correct answer: 1. Autosomal dominant

Explanation: ANSWER: (A) Autosomal dominantREF: Lehninger Principles of Biochemistry 4th edition page 827, style="color: rgba(20, 20, 20, 1); font-family: Times New Roman, Times, serif"> pubmedhealth/PMH0001429/In familial hypercholesterolemia, a human genetic disorder, blood levels of cholesterol are extremely high and severe atherosclerosis develops in childhood. These individuals have a defective LDL receptor and lack receptor-mediated uptake of cholesterol carried by LDL. Consequently, cholesterol is not cleared from the blood; it accumulates and contributes to the formation of atherosclerotic plaques.Familial hypercholesterolemia is a genetic disorder caused by a defect on chromosome 19. The condition is typically passed down through families in an autosomal dominant manner. The most common genetic defects in FH are LDLR mutations (prevalence 1 in 500, depending on the population), ApoB mutations (prevalence 1 in 1000), PCSK9 mutations (less than 1 in 2500) and LDLRAP1